All the strains of A.A. Comitans are sensitive to:
1. Tetracycline
2. Ciprofloxacin
3. Augmenting
4. Metronidazole

Correct answer: 2. Ciprofloxacin

Explanation: If given :Ciprofloxacin+ metronidazole is the best option.